After 5 days of fasting a man undergoes oral GTT, all of the following will be seen EXCEPT:
1. GH levels are increased
2. Increased glucose tolerance
3. Decreased insulin levels
4. Glucagon levels are increased

Correct answer: 2. Increased glucose tolerance

Explanation: Increasing lipolysis will increase the FFA & glycerol levels in blood. Glycerol will form glucose (gluconeogenesis), for obligatory users. It also causes TG breakdown and provides FFA as an alternate source of fuel for other tissues. Hence, GH levels begin to rise. By 5th day - The aim is still to maintain the plasma glucose high. There would be decreased insulin, impaired glucose tolerance, and increase in the levels of anti-insulin hormones (GH, glucagon, epinephrine, cortisol). Thus, option B is the answer. Protein oxidation is rapid during the initial stage of starvation; transamination of amino acids in liver will form glucose (gluconeogenesis). Once the easily mobilized protein has been consumed, the rate of these reactions will decrease, and the body's protein stores will be relatively conserved. When most of the fat has been exhausted, the protein breakdown will occur as a last resort. After 2nd week: The brain undergoes a metabolic switch that allows it to utilize ketone bodies. More than 50% of its glucose need is replaced with the ketone bodies that are produced by continued oxidation of fatty acids. Since, glucose requirement is reduced, rate of gluconeogenesis also decreases. Muscle breakdown will decrease. 3rd weeks of starvation: BMR falls by 20%. By 4th week: urinary nitrogen loss is 3-5 gm per day (negative nitrogen balance)